What is DOC for treatment of Trichomonal vaginalis ?
1. Mebendazole
2. Tinidazole
3. Albendazole
4. Metronidazole

Correct answer: 4. Metronidazole

Explanation: 1. Drug of choice for Trichomoniasis is Metronidazole. 2. Treatment for Trichomoniasis : Metronidazole 400mg TDS for 7 days or 2g single dose, (or) Tinidazole 600mg daily for 7 days or 2g single dose, (or) Secnidazole 2g single dose. 3. Treatment failures owing to the presence of Metronidazole-resistant strains of T. vaginalis are becoming increasingly common. Most of these cases can be treated successfully by giving a second 2g dose to both patient and sexual partner. In addition to oral therapy, the use of a 500-1000mg vaginal suppository may be beneficial in refractory cases.